Which one of the following is least likely to occur in late extra articular sero-positive rheumatoid arthritis -
1. Neutropenia
2. Dry eye
3. Leg ulcers
4. Hepatitis

Correct answer: 4. Hepatitis